All of the following are branches of a splenic artery, except -
1. Short gastric artery
2. Hilar branches
3. Right gastroepiploic artery
4. Arteria pancreatica magna

Correct answer: 3. Right gastroepiploic artery

Explanation: The right gastroepiploic artery is a branch of the gastroduodenal artery.